Deficient mineralisation in epiphysical growth cartilage is seen in –
1. Rickets
2. Osteomalacia
3. Scurvy
4. Hyperparathyroidism

Correct answer: 1. Rickets